Which of the following CLASP human experiment:
1. Main center for the experiment was Geneva
2. Main center for the experiment was Tokoyo
3. Main center for the experiment was in United kingdom
4. Heparin low dose given

Correct answer: 3. Main center for the experiment was in United kingdom

Explanation: Ans. C. Main center for the experiment was in United kingdomCLASP human experiment:Correspondence to: CLASP Co-ordinating Centre, Harkness Building, Radcliffe Infirmary, Oxford OX2 6HE, UK- http: // www,researchgate.netCLASPThe impact of aspirin on proteinuric preeclampsia and its fetal sequelae in CLASP was certainly smaller than in some previous reviews.The results of available trials do not support the widespread routine prophylactic or therapeutic use of antiplatelet therapy in pregnancy among all women judged to be at risk of pre-eclampsia or IUGR.Overall, the use of aspirin was associated with a reduction of only 12% in the incidence of proteinuria pre-eclampsia, which was not significant.Nor was there any significant effect on the incidence of IUGR or of stillbirth and neonatal death.